Hemodialysis associated amyloid is:
1. Beta 2 microglobulin
2. AA
3. AL
4. ATTR

Correct answer: 1. Beta 2 microglobulin

Explanation: Patients on long term hemodialysis for renal failure develop amyloidosis due to deposition of b2 microglobulin. Ref: Robbin's Illustrated Pathology, 7th Edition, Pages 260-61; Complications of Dialysis By Norbe Lameire, Ravindra L. Mehta, Page 352